Which of the following therapy is used in the treatment of Borderline personality Disorder?
1. Modelling
2. Sensate focus therapy
3. Dialectical behavior therapy
4. Exposure and response prevention

Correct answer: 3. Dialectical behavior therapy

Explanation: Treatment for Borderline personality disorder involves Dialectical behavior therapy, Transference focussed therapy, Mentalization therapy.